All of the following statistical tests are used to analyses variables with normal distribution except
1. Student t-test
2. Chi square test
3. ANOVA
4. Multiple linear regression

Correct answer: 2. Chi square test

Explanation: (B) Chi square test